Ganciclovir is preferred over acyclovir in the following condition:
1. Herpes simplex keratitis
2. Herpes zoster
3. Chickenpox
4. Cytomegalovirus retinitis in AIDS patients

Correct answer: 4. Cytomegalovirus retinitis in AIDS patients

Explanation: * Ganciclovir is the drug of choice for CMV infections. * Acyclovir is highly effective against Herpes simplex and Varicella zoster (chicken pox and herpes zoster) but it has very little activity against CMV.